Cells of parafollicular cells are derived from?
1. 1st branchial pouch
2. 2nd hrahchial pouch
3. 5th brachial pouch
4. 4th brachial pouch

Correct answer: 3. 5th brachial pouch

Explanation: C i.e. 5th brachial pouch